Superior mesenteric artery supplies?
1. Colon
2. Anus
3. Rectum
4. Descending colon

Correct answer: 1. Colon

Explanation: Superior mesenteric artery: It is a unpaired vessel that arises anteriorly from abdominal aorta at the level of L1. It supplies the midgut (from second part of duodenum to proximal one half of transverse colon) and pancreas. BranchesInferior pancreaticoduodenal arteryLeft-sidedJejunal branchesIleal branchesRight-sidedIleocolic arteryRight colic arteryMiddle colic arteryMarginal artery of DrummondThe terminal branches of the ileocolic, right colic and middle colic arteries of superior mesenteric arteries along with the terminal branches of the left colic artery and sigmoid branches of the inferiro mesenteric artery forms a continuous arterial circle or arcade along the inner border of the colon. This is known as the marginal artery of Drummond.